Expressed emotionality is related to -
1. Depression
2. Schizophrenia
3. Mania
4. Somatiform disorder

Correct answer: 2. Schizophrenia

Explanation: Many studies have indicated that in families with high levels of expressed emotion, the relapse rate for schizophrenia is high.